In a child with a pre-existing cardio valvular disease, antibiotic prophylaxis should be administered before a dental extraction so as to prevent:
1. Bacterial endocarditis
2. Congestive cardiac failure
3. Pneumonia
4. Rheumatic carditis

Correct answer: 1. Bacterial endocarditis

Explanation: Premedication with a systemic background

Patients with Subacute Bacterial Endocarditis - antibiotic prophylaxis is needed.
Patients with abscess - antibiotic therapy.

In a child with a pre-existing cardio valvular disease, antibiotic prophylaxis should be  administered before a dental extraction so as to prevent bacterial endocarditis.
Reference: Pediatric Dentistry SECOND EDITION, Shobha Tandon; page no 163